True about Epidural anesthesia:
1. Effects start immediately
2. C/I in coagulopathies
3. Given in subarachnoid space
4. All

Correct answer: 2. C/I in coagulopathies

Explanation: B i.e. C/I in coagulopathies Epidural anaesthesia is given in epidural spaceQ (extending from foramen magnum to sacral hiatus) not in subarachnoid spaceQ (which is used for intrathecal - spinal anesthesia). In comparison to spinal anesthesia, the volume of drug given is larger, onset on effect is delayed (5-20 min) and duration of action is prolongedQ in epidural anesthesia. Both epidural & spinal anesthesia block sympathetic outflow (T12 - L2). This produces dilation of resistance and capacitance vessels decreasing venous return & causing hypo-tensionQ. However, this fall is sudden & profound in spinal anesthesia, whereas slower & profound in epidural anesthesia. Centrineuraxial (spinal & epidural) anesthesia is contraindicated in coagulopathy, blood dyscariasis, full anticoagulant (oral warfarin, LMVV heparin & fibrinolytic) therapy but can be given to patients on antiplatelet agents like aspirin & NSAIDs.